One of the following is not a characteristic of causal association:
1. Coherence
2. Specificity
3. Sensitivity
4. Biological plausibility

Correct answer: 3. Sensitivity

Explanation: Hill's criteria of causal association/ Surgeon general's criteria include: Temporality Specificity Consistency Strength Biological plausibility Coherence Dose response relationship Cessation of exposure. - Sensitivity is a measure of validity of a screening test; not included in criterion.